Erythema nodosum can seen in following except
1. Acute pancreatitis
2. TB
3. SLE
4. Pregnancy

Correct answer: 1. Acute pancreatitis

Explanation: Erythema Nodosum: Etiology: a. Idiopathic b. Medical causes, excluding infections i Sarcoidosis and other granulomatous disease (granulomatous mastitis)ii Inflammatory bowel disease iii Diverticulitis iv Rheumatological and autoimmune diseases, including lupus erythematosus, Reiter's syndrome, Sjogren's syndrome, Behcet's disease, coeliac disease, Autoimmune Hepatitis. v Malignancy (uncommon, mainly haematological but others are recorded including lung, pancreas, renal, stomach, colon, uterus, cervix and others) vi Haematological stem cell transplantation vii Pregnancy viii Acne fulminans (sometimes with isotretinoin) The clinical picture of subcutaneous fat necrosis, acute synovitis, and subcutaneous nodules present in some patients with pancreatitis or carcinoma of the pancreas may mimic erythema nodosum. Eosinophilia of 5 to 21% has been noted frequently when subcutaneous fat necrosis accompanies carcinoma of the pancreas Ref Robbins 9/e pg 345